MAC of halothane is –
1. 0.75%
2. 1-2%
3. 6%
4. 2%

Correct answer: 1. 0.75%